What is the formula for parenteral iron therapy :
1. 4.4. X body weight (kg) X Hb deficit (g/dl)
2. 3.3. X body weight (kg) X Hb deficit (g/ dl)
3. 2.2 X body weight (kg) X Hb deficit (g/dl)
4. 1.1 X body weight (kg) X Hb deficit (g/dl)

Correct answer: 1. 4.4. X body weight (kg) X Hb deficit (g/dl)